Giant 'V' wave on examination of the jugular venous pulse is suggestive of -
1. Atrial flutter with changing block
2. Tricuspid incompetence
3. Ventricular septal defect
4. Pulmonary stenosis

Correct answer: 2. Tricuspid incompetence